A normal infant sits briefly leaning forward on her hands, reaches for and grasps a cube and transfer it from hand to hand. She babbles but can not wave bye–bye nor can she grasp objects with the finger and thumb. Her age is –
1. 4 months
2. 7 months
3. 10 months
4. 14 months

Correct answer: 2. 7 months